Most important aspect of management of burn injury in the first 24 h:
1. Fluid resuscitation
2. Dressing
3. Escharotomy
4. Antibiotics

Correct answer: 1. Fluid resuscitation

Explanation: Ans. Fluid resuscitation